Which of the following is true about ketone bodies:
1. Acetoacetate is most common ketone body present in blood
2. Beta hydroxybutyrate is the first ketone body to be synthesized
3. Thiophorase is absent in liver
4. Muscle can not utilize ketone bodies

Correct answer: 3. Thiophorase is absent in liver

Explanation: Ketone Body Synthesis Catabolic pathway Occurs in mitochondria Activated by glucagon Occur in liver 1st ketone body - acetoacetate Most common ketone body - Beta hydroxy butyrate Found in blood and urine Ketone Body Utilization Catabolic pathway Occurs in mitochondria Activated by glucagon Occur in brain, heart and muscles Thiophorase is absent in liver so ketone bodies cannot be utilized by liver.